There is a high risk of renal dysplasia in ?
1. Posterior urethral valve.
2. Bladder ex stroph y
3. Anorectal malformation
4. Neonatal sepsis

Correct answer: 1. Posterior urethral valve.

Explanation: Ans is 'a' Posterior urethral valve The term renal dysplasia is technically a histological diagnosis. It occur due to abnormality in metanephric differentiation and is characterized histologically by the persistence in the kidney of abnormal structures - cartilage, undifferentiated mesenchyme and immature collecting ductules and by abnormal lobar organization. C/F of Renal dysplasia (i) It can be unilateral or bilateral and is almost always cystic (ii) Kidney is enlarged, extremely irregular and multicystic. (presents as a flank mass) (iii) In unilateral dysplastic kidney the prognosis is good, where as in B/L dysplastic kidney renal failure may ultimately result. Dysplastic kidney is associated with? posterior urethral valve (as part of VURD syndrome) V --> posterior urethral valves U --> unilateral reflux R --> renal dysplasia Uretero pelvic obstruction Ureteral agenesis or atresia Other anomalies of lower urinary tract.